The sensory supply of the palate is through all of the following, except :
1. Facial nerve
2. Hypoglossal nerve
3. Glossopharyngeal nerve
4. Maxillary division of trigeminal nerve

Correct answer: 2. Hypoglossal nerve

Explanation: B i.e. Hypoglossal nerve